The treatment of gallstone ileus is -
1. Cholecystectomy alone
2. Removal of obstruction
3. Cholecystectomy, closure of fistula and removal of stone by enterotomy
4. Cholecystectomy with closure of fistula

Correct answer: 2. Removal of obstruction

Explanation: The treatment priority should focus on relief of obstruction and not on gallbladder and its fistulous communication. So the procedure of choice is Laparotomy with stone extraction. The gallbladder disease can be dealt on later, which includes cholecystectomy and closure of the fistulous tract Ref -Bailey & Love, 25/e p1190